Most common cause of Auto splenectomy
1. Sickle cell anemia
2. SLE
3. Pneumococcal sepsis
4. Thalassemia

Correct answer: 1. Sickle cell anemia

Explanation: A,b,C are causes of Auto splenectomy m/c cause is sickle cell anemia.